The amount of previously inrecognised disease that is diagnosed as a result of the creening effor is known as -
1. Predictive accuracy
2. Reliability
3. Yield
4. Validity

Correct answer: 3. Yield

Explanation: .
yield is the amount of previously unrecognised disease that is diagnosed as a result of the screening effort .it depends upon the sensitivity,specificity, and prevalence of the disease.selection of high risk populations helps to increase the yield.

ref:park's textbook of preventive and social medicine,22 nd edition,pg no127